All the following are true of Eale's disease except
1. Occurs in the young
2. Vitreous hemorrhage is present
3. Retinal detachment
4. Optic neuritis

Correct answer: 4. Optic neuritis

Explanation: D. i.e. Optic neuritis Eales disease does not cause optic neuritisQ